A veterinary doctor had fever for 15 days. His blood culture in special laboratory media was positive for Gram-negative short bacilli which were oxidase positive. Which one of the following is the likely organism grown in culture?
1. Pasteurella spp.
2. Francisella spp.
3. Bartonella spp.
4. Brucella spp.

Correct answer: 4. Brucella spp.

Explanation: Pasteurella sp-Gram --ve bacilli oxidase +ve causes cellulitis but no fever Francisella sp-Gram --ve short bacillus, oxidase +ve, causes Tularemia arthrosis but no PUO(Pyrexia of unknown origin) Bartonella -- Gram --ve red, oxidase +ve Brucella, Gram --ve, short bacillus causes PUO Ref : Ananthanarayana textbook of Microbiology 9th edition Pgno : 339